Delayed wound healing is seen in all except:
1. Malignancy
2. Hypertension
3. Diabetes
4. Infection

Correct answer: 2. Hypertension

Explanation: Factors influencing healing of wound. site structure involved mechanism of wounding contamination loss of tissue local factors Systemic factors Factors that inhibit wound healing LOCAL FACTORS Infections Ischemia Foreign body Hematoma Movement Mechanical stress Necrotic tissue Tissue tension Large defect SYSTEMIC FACTORS Diabetes mellitus Ionizing radiations & temperature Advanced age & Malnutrition Vitamin A & C deficiency Mineral ZINC & IRON deficiencies Drugs( Steroids, Doxorubicin) Jaundice Uremia Malignancy HIV and immunosuppressive disease neuropathies